Spontaneous absorption of lenticular material is seen in –
1. Myotonic dystrophy
2. Hallermann Streiff syndrome
3. Aniridia
4. Persistent hyperplastic primary vitreous

Correct answer: 2. Hallermann Streiff syndrome

Explanation: Spontaneous absorption of lens may occur in Hallermann-streiff-syndrome.